Leading questions are not asked in -
1. Cross-examintion
2. Examination in chief
3. Examination by judge
4. Examination by coroner

Correct answer: 2. Examination in chief